ABG of a patient shows decreased pH, increased pCO2 and high bicarbonate. Diagnosis:
1. Respiratory alkalosis, compensated
2. Respiratory acidosis, compensated
3. Respiratory acidosis not fully compensated
4. Metabolic alkalosis, uncompensated

Correct answer: 3. Respiratory acidosis not fully compensated

Explanation: Increased pCO2 indicates generation of protons in the body leading to acidosis Since increase in CO2 occurs due to respiratory pathology patient has respiratory acidosis For compensation HCO3 increases and but still pH is not normalised that means compensation is partial.